Which of the following is not made up of Elastic cartilage
1. External ear
2. Auditory tube
3. Epiglottis
4. Bronchioles

Correct answer: 4. Bronchioles

Explanation: Location of elastic cartilage
→ External ear 
→ Auditory tube 
→ Epiglottis
→ Corniculate and cuneiform cartilages 
→ Apices of arytenoids 
→ External auditory canal